A 75-year-old coal minor complains of progressive loss of vision. Visual field examination shows visual loss in the upper right quadrant in both visual fields. The lesion would most likely be in the:
1. Left cuneus
2. Left temporal lobe
3. Right angular gyrus
4. Right lingual gyrus

Correct answer: 2. Left temporal lobe

Explanation: The patient is suffering from field deficit called upper right homonymous quadrantanopia, which is also known as Meyer's loop quadrantanopia.The lesion lies at the contralateral inferior (temporal) lobe. Area of lesion Type of Defect Disc/optic nerve lesions Same sided monocular blindness Chiasmal lesions Bitemporal Hemianopia Optic tract lesions (mc) Incongruous Homonymous hemianopia Lt. Geniculate body lesions Meyer's loop (Temporal lobe) Pie in the sky Baum's loop (Parietal lobe) Pie on the Floor Occipital lobe lesion Congruous Homonymous hemianopia with macular sparing NOTE- Bauman's loop - by superior fibres of optic radiation Meyer's loop - by inferior fibres of optic radiation